Which one of the following drugs is useful in the treatment of gastroesophageal reflux disease?
1. Atropine
2. Ondansetron
3. Metoclopramide
4. Sodium citrate

Correct answer: 3. Metoclopramide

Explanation: Metoclopramide is an effective drug in the treatment of patients with GERD. It is a prokinetic drug that speeds up gastric emptying by increasing gastric peristasis while relaxing the pylorus and first part of duodenum. It also enhance the tone of lower esophageal sphincter thereby preventing reflux. Ref: Essentials of Medical Pharmacology, 5th Edition, Pages 602, 605-606